Which one of the following is not a lichenoid reaction?
1. Lichenoid contact reaction
2. Pemphigus
3. Lichenoid drug eruption
4. Lichenoid reaction of graft versus host disease

Correct answer: 2. Pemphigus

Explanation: Lichenoid reactions represent a family of lesions with diﬀerent etiologies with a common clinical & histological appearance. They include LIchenoid contact reactions, Lichenoid drug eruptions, Lichenoid reaction of graft versus host disease.